Sensitive investigation to detect ectopic parathyroid
1. CECT neck
2. MRI
3. Sestamibi scan
4. Thallium scan

Correct answer: 3. Sestamibi scan

Explanation: Sestamibi scan is very sensitive to detect parathyroid adenoma and ectopic parathyroid.